The appropriate approach to a neonate presenting with vaginal bleeding on day 4 of life is _________
1. Administration of vitamin K
2. Investigation for bleeding disorder
3. No specific therapy
4. Administration of 10 ml/kg of fresh frozen plasma over 4 hours

Correct answer: 3. No specific therapy

Explanation: Sometimes, small pieces of smooth pink tissue can protrude. These vaginal (hymenal) tags occur in about 10 percent of newborn girls and are considered normal and harmless. Hymenal skin tags usually resolve themselves over a period of about two to four weeks. Reference: GHAI Essential pediatrics, 8th edition